Which of the following technique of Local
anesthesia requires extra oral landmarks?
1. High tuberosity approach
2. Fischer 123
3. Gowgates
4. Vazirani-Akinosi

Correct answer: 3. Gowgates